Which of the following poison has a sweet taste and produces perioral sensation and tingling?
1. Cerbera-odollam
2. Yellow oleander
3. Digitalis purpurea
4. Aconite

Correct answer: 4. Aconite

Explanation: Aconite is monk's hood or blue rocket or mitha zaher or bish or bikh.
Signs and symptoms include sweet taste, numbness and tingling of mouth, tongue and pharynx, salivation, nausea, and vomiting and diarrhea. Headache, giddiness, pallor, and profuse sweating, subnormal temperature, and patient becomes weak.